Haldane effect is defined as:
1. Important mechanism meant for oxygen transport in the body
2. Binding of oxygen to hemoglobin increases capacity for carbon dioxide
3. Deoxygenation of blood increases capacity for carbon dioxide
4. All of the above

Correct answer: 3. Deoxygenation of blood increases capacity for carbon dioxide

Explanation: Ans. C: Deoxygenation of blood increases capacity for carbon dioxide The Haldane effect is a property of hemoglobin first described by the Scottish physician John Scott Haldane. Deoxygenation of the blood increases its ability to carry carbon dioxide; this property is the Haldane effect. Conversely, oxygenated blood has a reduced capacity for carbon dioxide.